All of the following activities of Junior Red cross except?
1. Military hospital worker
2. Village uplift
3. Prevent epidemic work
4. Any of the above

Correct answer: 1. Military hospital worker

Explanation: Ans. is 'a' i.e., Military hospital worker